Eruption of Mandibular Central incisor occur at
1. 8-9 years
2. 6 years
3. 19-20 years
4. 15-16 years

Correct answer: 2. 6 years